Which of the following is the most common tumor of brain?
1. Glioma
2. Meningioma
3. Cerebral metastasis
4. None of the above

Correct answer: 3. Cerebral metastasis

Explanation: Cerebral metastases are by far the most common intracranial tumours and will affect approximately one in every four cancer sufferers. They tend to occur in the fifth to seventh decades.